Thalassaemia major manifests in
1. Childhood
2. Puberty
3. Adolescence
4. Middle age

Correct answer: 1. Childhood

Explanation: Beta thalassemia major manifests 6 to 9 months after birth as Hb synthesis switches from HbF to HbA. Beta thalassemia is caused by the mutation that diminishes the synthesis of beta globin chain seen in HbA. The red cells may completely lack HbA or contain small amounts. Reference: Robbins and Cotran Pathologic basis of disease.South Asia Edition,-9 volume 1.page no. 638-639